Gyromagnetic property of proton is seen in -
1. MRI
2. CT
3. PET scan
4. USG

Correct answer: 1. MRI

Explanation: Ans. is 'a' i.e., MRI o Ultrasonography is based on piezoelectric effect.o MRI is based on gyeromagnetic property of proton (H+)